Fasanella Servan operation is specifically indicated in:
1. Congenital ptosis
2. Steroid induced ptosis
3. Myasthenia gravis
4. Homer's syndrome

Correct answer: 4. Homer's syndrome

Explanation: D i.e. Horner's Syndrome Fasanella servat procedure is indicated in ptosis due to Horner's syndrome Q Frontalis suspension is indicated in Marcus Gunn jaw winking syndrome, blepharophimosis syndrome, total 3rd nerve palsy, aberrant regeneration of 3rd nerve.